Cystine is formed from
1. Arginine
2. Histidine
3. Cysteine
4. Alanine

Correct answer: 3. Cysteine

Explanation: The difference in structure of cysteine and cystine. Two molecules of cysteine are joined together by S--S bond to form one molecule of cystine.Ref: M.N. Chatterjea - Textbook of Biochemistry, 8th edition, page no: 504